Kocher's manuever means -
1. Mobilisation of gall bladder during holecystectomy
2. Mobilisation of 2nd part of duodenum
3. Mobilisation of pancreas during pancreatectomy
4. Mobilisation of ascending colon

Correct answer: 2. Mobilisation of 2nd part of duodenum

Explanation: Ans. is 'b' i.e., Mobilisation of 2nd part of duodenum